Annular herald patch is seen in:
1. Psoriasis
2. Nocardiasis
3. P. alba
4. P. rosea

Correct answer: 4. P. rosea

Explanation: Ans. d. P. roseaHerald patch is first patch seen over trunk in pityriasis rosea